Gynaecomastia is seen in :
1. Klinefelter's syndrome
2. Lepromatous leprosy
3. HIV
4. All of the above

Correct answer: 4. All of the above

Explanation: All of the above Gynaecomastia implies presence of female type mammary glands in male.